Which of the following worm infestation is associated with cysticercosis?
1. Taenia solium
2. Taenia saginata
3. Echinococcus granulosus
4. None of the above

Correct answer: 1. Taenia solium

Explanation: The pork tapeworm Taenia solium can cause two distinct forms of infection in humans: adult tapeworms in the intestine or larval forms in the tissues (cysticercosis). Humans are the only definitive hosts for T. solium; pigs are the usual intermediate hosts, although other animals may harbor the larval forms. Neurocysticercosis manifests an average of 5 years after exposure, but may cause symptoms in the first year of life. Ref: White, A.C., Weller P.F. (2012). Chapter 220. Cestode Infections. In D.L. Longo, A.S. Fauci, D.L. Kasper, S.L. Hauser, J.L. Jameson, J. Loscalzo (Eds),Harrison's Principles of Internal Medicine, 18e.